Pantothenic acid is utilised in synthesis of which hormone:
1. Insulin
2. Thyroxine
3. Corticosteroids
4. All of the above

Correct answer: 3. Corticosteroids

Explanation: Works indicate a role for pantothenic acid in synthesis of corticosteroids. Ref: Park 22nd edition, Page 574.